Rice is poor in all except
1. Calcium
2. Iron
3. Vitamin A, D, C
4. Lysine

Correct answer: 4. Lysine

Explanation: Rice is a poor source of Thiamine, Calcium, Iron and Vitamins A, D, C Protein content of rice varies from 6-9% Rice proteins are better than other cereal proteins as dry rice is richer in lysine Rice is staple food of >50% population globally Ref: Park 25th edition Pgno : 665